After how many days does Delayed ischemic neurological deficit occurs in SAH?
1. 1
2. 7
3. 15
4. 30

Correct answer: 2. 7

Explanation: Delayed ischemic neurological deficit refers to the focal neurological deficits which occurs between 3 and 10 days (avg. 7 days) after the SAH. It is caused by cerebral vasospasm which correlates with the amount of bleeding in subarachnoid space It is managed with nimodipine &IV fluids. Prevention of hypoxia and hypotension along with control of ICP is helpful